Middle cranial fossa is supplied by -a) Maxillary nerveb) Mandibular nervec) Anterior ethmoidal nerved) Posterior ethmoidal nerve
1. ab
2. a
3. ac
4. bc

Correct answer: 1. ab

Explanation: Middle cranial fossa is supplied by

Maxillary nerve (nervus meningus medius), and
mandibular nerve (nerve spinosus).